Regarding lamotrigine, which of the following is a TRUE statement ?
1. It is a dopaminergic agonist used in Parkinsonism
2. It acts by blocking NMDA type of glutamate receptors
3. It is a broad spectrum antiepileptic drug
4. It suppresses tonic-clonic seizures but worsens absence seizures

Correct answer: 3. It is a broad spectrum antiepileptic drug